The dietary fats are transmitted from GIT to adipocytes in the form of
1. Diacyl glycerol
2. Triacylglycerol
3. Fat misseles
4. Chylomicrons

Correct answer: 4. Chylomicrons

Explanation: TG derived from intestinal absorption of fats are transported in the blood as a lipoprotein complex called chylomicrons. Chylomicrons are small microscopic particles of fats, about 1m in diameter and are responsible for transport of exogenous (TG) in the blood. * Similarly, TG that are synthesised in Liver cells is converted to lipoprotein particles, called very low-density lipoproteins (VLDL) and thrown into the circulation. VLDL is mainly concerned with transport of endogenous TG. In addition to above: * Fatty acids released from adipose tissue by hydrolysis of TG are thrown in the circulation as free fatty acid (FFA). They are carried in non-esterified state in plasma, hence also called NEFA. In circulation, FFA/ NEFA combines with albumin and are carried as albumin-FFA complex. Some 25 to 30 mols of FFA are present in combination with one mol. of albumin.Ref: Textbook of Medical Biochemistry 8th Edition Dr (Brig) MN Chatterjea, Rana Shinde page no: 445